Morphine is used in the treatment of:-
1. Hypertension
2. Cardiac arrhythmias
3. Acute left ventricular failure
4. A-V block

Correct answer: 3. Acute left ventricular failure

Explanation: These are used as analgesic agents. Visceral, dull and constant pain is relieved more effectively than inflammatory pain. Opioids are however contraindicated in biliary colic. Morphine (i.v.) is useful in myocardial infarction as well as in pulmonary edema due to acute left ventricular failure.